Functions of estrogen are all EXCEPT
1. Secretory function on endometrium
2. Synthetic function on endometrium
3. Causes secondary sexual characters in female
4. Breast enlargement during puberty

Correct answer: 1. Secretory function on endometrium

Explanation: Secretory function on endometrium REF: Ganong's 22ed chapter 23 Organ Estrogen Progesterone Vagina Epithelium becomes cornified A thick mucus is secreted, and the epithelium proliferates and becomes infiltrated with leukocytes Fallopian tubes Increase the motility of the uterine tubes Ovary Follicular or preovulatory Luteal Endometrium Proliferative Secretory, It also decreases the number of estrogen receptors in the endometrium and increases the rate of conversion of 17 -estradiol to less active estrogens. Body of uterus Increase the amount of uterine muscle and its content of contractile proteins Anti-estrogenic effect on the myometrial cells, decreasing their excitability, their sensitivity to oxytocin, and their spontaneous electrical activity while increasing their membrane potential. Cervix Mucus thinner and more alkaline Mucus thick, tenacious, and cellular Breast Proliferation of mammary ducts Growth of lobules and alveoli